All are radiolucent stones except
1. Triamterene stones
2. Uric acid stone
3. Xanthine stones
4. Cystine stones

Correct answer: 4. Cystine stones

Explanation: Mnemonic - TIXU Triamterene Indinavir Xanthine Uric acid Radiolucent stones